Homes where children are placed under the care of doctors and psychiatrist are called -
1. Foster homes
2. Borstals
3. Remand homes
4. Child guidance clinics

Correct answer: 3. Remand homes

Explanation: Ans. is 'c' i.e., Remand homes o Remand Homes : Child is placed under the care of doctors, psychiatrists and other trained personnel to improve the mental and physical well being of the child.